The anaphylaxis should be treated first with
1. Epinephrine
2. Steroids
3. Anti histamines
4. Antibiotics

Correct answer: 1. Epinephrine